Granulosa cells produce estrogen with the help of the enzyme :
1. Alkaline phosphatase
2. Aromatase
3. Acid phosphate
4. Glucuronidase

Correct answer: 2. Aromatase

Explanation: During the follicular phase under the influence of LH, androgens are produced in the theca cells. The androgens diffuse into granulosa cells where they are aromatised to estradiol androgens-> aromatase -> estradiol and estrone, under FSH influence. Ref: D.C. Dutta's Textbook of Gynaecology, 6th edition, page no: 72